Manchot, salmon, Taylor names are related to:-
1. Lymphatic supply to skin
2. Arterial supply to the skin flaps
3. Nerve supply to the skin
4. Nerve supply to muscle

Correct answer: 2. Arterial supply to the skin flaps

Explanation: Manchot, salmon, Taylor names are related to Arterial supply to the skin flaps Manchot studied skin territories in 1889. Salmon expanded this in 1930s, and Taylor and Palmer developed the angiosome concept in 1987.* ANGIOSOME: The angiosome concept was derived from plastic surgery for the purpose of healing of skin flaps. An angiosome is an anatomic unit of tissue (consisting of skin, subcutaneous tissue, fascia, muscle, and bone) fed by a source artery and drained by specific veins.